Fistula tests stimulates
1. Lateral semicircular canal
2. Posterior semicircular canal
3. Round window
4. Anterior semicircular canal

Correct answer: 1. Lateral semicircular canal